Which of the following features suggesting malignant lesion on mammography?
1. Round well defined borders
2. Macrocalcifications
3. Microcalcifications
4. Fat content

Correct answer: 3. Microcalcifications

Explanation: Microcalcifications are suggestive of a malignant lesion. Macrocalcification/ Popcorn calcifications are fibroadenomas which are benign lesions The pattern and shape of microcalcifications can also give radiologists clues about whether cancer may be present. Linear, rod-like calcifications raise suspicion of underlying breast cancer, whereas popcorn, eggshell, and rim-like calcifications are usually benign.